Simple anchorage refers to
1. Closure by tipping
2. Closure by bodily movement
3. Closure by rotation
4. Closure by intrusion

Correct answer: 1. Closure by tipping